Order of anastomosis in Whipple's procedure:
1. Pancreaticojejunostomy, gastrojejunostomy, hepaticojejunostomy
2. Hepaticojejunostomy, pancreaticojejunostomy, gastrojejunostomy
3. Gastrojejunostomy, pancreaticojejunostomy, hepaticojejunostomy
4. Pancreaticojejunostomy, hepaticojejunostomy, gastrojejunostomy

Correct answer: 4. Pancreaticojejunostomy, hepaticojejunostomy, gastrojejunostomy

Explanation: Tumor position Procedure Head (malignant) Pylorus preserving Whipple's procedure Head (benign) Enucleation Body & Tail Distal pancreatectomy. Whipple's procedure: Pancreaticojejunostomy, Hepaticojejunostomy Gastrojejunostomy Pylorus preserving Whipple's procedure: Pancreaticojejunostomy, Hepaticojejunostomy, Gastrojejunostomy, Duodenojejunostomy. Maxium risk of leak occurs from Pancreaticojejunostomy > Gastrojejunostomy > Hepaticojejunostomy.